M. C. anterior mediastinum tumor is
1. Thymoma
2. Neurogenic Fibroma
3. Lymphoma
4. Meningocele

Correct answer: 1. Thymoma

Explanation: Ans is 'a' ie Thymoma RememberMost common mediastinal mass-Neurogenic tumorsMost common Ant. mediastinal mass-ThymomaMost common Middle mediastinal mass-Bronchogenic & pleuropericardial cystsMost common Posterior mediastinal mass-Neurogenic tumorMost common malignant mass of mediastinum-LymphomasMost common mediastinal mass in children-Neurogenic tumor